In which of the following types of carcinoma breast, comedo growth pattern is seen?
1. Ductal carcinoma in situ
2. Medullary carcinoma
3. Lobular carcinoma in situ
4. Infiltrating lobular carcinoma

Correct answer: 1. Ductal carcinoma in situ